Middle 1.5 cm of anal canal is lined by
1. Keratinized stratified squamous epithelium
2. Non keratinized stratified squamous epithelium
3. Columnar epithelium
4. Psudocolumnar epithelium

Correct answer: 2. Non keratinized stratified squamous epithelium

Explanation: The anal canal is divided into three parts. The zona columnaris is the upper half of the canal and is lined by simple columnar epithelium. The lower half of the anal canal, below the pectinate line, is divided into two zones separated by Hilton's white line. The two parts are the zona hemorrhagic and zona cutanea, lined by atratified squamous non keratinized and stratified squamous keratinized. ref - BDC vol2 pg416